Swimmer after coming out frm swimming pool presents with redness and mucopurulent discharge. There is no history of contact lens wear. On examination, no corneal involvement seen. Probable diagnosis is -
1. Acanthamoeba keratitis
2. Adul inclusion conjunctivitis
3. Vernal keratoconjunctivitis
4. Angular conjunctivitis

Correct answer: 2. Adul inclusion conjunctivitis

Explanation: This is case of Swimming pool conjunctivits/granuloma-Which is adult inclusion conjunctivitis caused by chlamydia trachomatis. Ref: Khurana 7th/e p.73 & 4th/e p.63,68